Following arteries anastomose in the little's area except -
1. Anterior ethmoidal artery
2. Superior labial artery
3. Sphenopalatine artery
4. Lesser palatine artery

Correct answer: 4. Lesser palatine artery

Explanation: Ans. is 'd' i.e., Lesser palatine artery o Four arteries contribute to little's area :Anterior ethmoidal artery.Septal branch of superior labial artery (Branch of facial A).Septal branch of sphenopalatine artery (Branch of maxillary A).Greater palatine artery' (Branch of maxillary' A).